Friction locked pins are usually retained by
1. Threads on pin
2. Resiliency of dentine
3. Luting cement
4. Channel depth

Correct answer: 2. Resiliency of dentine